A water sample with hardness level of 1 meq/ L is classified as:
1. Soft water
2. Moderately hard water
3. Hard water
4. Very hard water

Correct answer: 2. Moderately hard water

Explanation: Classification Hardness level (meq/L) Soft water < 1 Moderately hard water 1-3 Hard water 3-6 Very hard water >6 Ref: Park 21st edition page: 672.